Which of the following is widely used in the management of carcinoma breast?
1. Actinomycin-D
2. Bleomycin
3. Doxorubicin
4. Dacarbazine

Correct answer: 3. Doxorubicin

Explanation: Daunorubicin (Rubidomycin), Doxorubicin These are antitumour antibiotics with quite similar chemical structures. However, utility of daunorubicin is limited to acute leukaemia (in which it is highly active) while doxorubicin, in addition, is effective in many solid tumours. They are capable of causing breaks in DNA strands by activating topoisomerase II and generating quinone type free radicals. They have mutagenic and carcinogenic potential. Maximum action is exerted at S phase, but toxicity is usually exhibited in G2 phase. DOXORUBICIN is effective in Cancers such as: Cancer of breast, ovary, prostate, stomach, thyroid; small cell cancer of lung, liver; squamous cell cancer of head and neck; multiple myeloma, Hodgkin's disease, lymphomas, ALL, AML. REFERENCE: K.D.TRIPATHI(page no:826) SIXTH EDITION, reference.medscape.com